The fastest acting antithyroid drug is:
1. Lugol's iodine
2. Radioactive iodine
3. Propylthiouracil
4. Sodium thiocyanate

Correct answer: 1. Lugol's iodine